As per WHO guidelines, iodine deficiency disorders are endemic in the community when prevalence of goitre in school age children is more than –
1. 1%
2. 5%
3. 10%
4. 15%

Correct answer: 2. 5%